Leading questions are permitted only in:
1. Cross examination
2. Examination in chief
3. Re-Examination
4. Dying Declaration

Correct answer: 1. Cross examination

Explanation: Leading Questions are Not permitted in: Examination in chief Re-Examination Dying Declaration Leading Questions are permitted in: Cross Examination Dying Deposition Hostile Witness